Classic triad inRenal cell carcinoma includes all of the following, Except:
1. Hematuria
2. Hypertension
3. Flank mass
4. Abdominal Pain

Correct answer: 2. Hypertension

Explanation: Hypertension may be seen in patients with Renal cell carcinoma but it does not firm part of the classically described triad. Classic Triad of Renal cell carcinoma (seen in 10-20% of patients) Hematuria (Gross) Pain (Abdominal / Flank) Mass (Abdominal /Flank) Ref : Bailey and love surgery text book 27th Ed.